Auditory area located in which lobe:
1. Temporal
2. Parietal
3. Frontal
4. Occipital

Correct answer: 1. Temporal

Explanation: Most of the primary auditory cortex is in the temporal lobe, but the association auditory cortices extend over much of the insular lobe and even onto the lateral portion of the paritetal lobe